Increased VMA is seen in?
1. Pheochromocytoma
2. Tyrosinemia
3. Parkinsonism
4. Phenylketonuria

Correct answer: 1. Pheochromocytoma

Explanation: Ans. (a) PheochromocytomaRef: Harrison's 18th ed. ch.: 343